The least common type of female pelvis is
1. Gynecoid
2. Android
3. Anthropoid
4. Platypelloid

Correct answer: 4. Platypelloid